Target material used for generating X-rays:
1. Tungsten
2. Cobalt
3. Cadmium
4. Palladium

Correct answer: 1. Tungsten

Explanation: Ans. Tungsten